All of the following are true about anemia of chronic failure except
1. Normocytic normochromic anemia
2. Erythropoietin improves the symptom
3. Dialysis worsens anemia of renal failure
4. Anemia is proportional to the kidney disease

Correct answer: 3. Dialysis worsens anemia of renal failure

Explanation: Ref Harrison 19 th ed pg 630 Patients with the anemia of CKD usually present with normal serum iron, TIBC, and ferritin lev- els. However, those maintained on chronic hemodialysis may develop iron deficiency from blood loss through the dialysis procedure. Iron must be replenished in these patients to ensure an adequate response to EPO therapy .